Cardiac involvement is present in all except -
1. Fascio scapulo humeral dystrophy
2. Ducchenes dystrophy
3. Fredreick's ataxia
4. Myotonic dystrophy

Correct answer: 1. Fascio scapulo humeral dystrophy